Part of spine, involved in Rheumatoid arthritis is:
1. Cervical
2. Thoracic
3. Lumbar
4. Sacral

Correct answer: 1. Cervical

Explanation: Ans. is 'a' cervical spine (Ref. Harrison, 17/e p 2086 & 16/e, p 1971 (15/e, p 1932)).Rheumatoid arthritis commonly involves joints of hands, wrist, knees, elbow, ankle, feet in symmetrical* manner."The axial skeleton involvement is usually limited to upper cervical spine" - Harrison, 15/e, p. 1932.